Following operations are used for genital prolapse, EXCEPT:
1. Fothergill's operation
2. Fenton's method
3. Ward Mayo operation
4. Le Fort operation

Correct answer: 2. Fenton's method

Explanation: Fenton's method is used for perineoplasty. All others are surgical correction methods of genital prolapse. Types of operation for genital prolapse: Anterior colporrhaphy Colpoperineorrhaphy Repair of enterocele Pelvic floor repair (PFR) Fothergill's or Manchester operation Vaginal hysterectomy with PFR or Ward Mayo's operation Repair of vault prolapse Le Fort operation Cervicopexy or Sling operation or Purandare's operation Ref: Textbook of Gynaecology by D C Dutta, 4th edition, Page 198, 540.